The Most common site of Ectopic Phaeochromocytoma is:
1. Organ of zuckerkandl
2. Bladder
3. Filum terminate
4. Celiac plexus

Correct answer: 1. Organ of zuckerkandl

Explanation: Organ of zuckerkandl